Alpha blocker useful in BPH is:
1. Phentolamine
2. Prazosin
3. Tolazoline
4. Phenoxybenzamine

Correct answer: 2. Prazosin